All are resected in whipples operation except:
1. Duodenum
2. Head of pancreas
3. Portal vein
4. Common bile duct

Correct answer: 3. Portal vein

Explanation: Ans is 'c' ie Portal vein Whipple's operation (Pancreaticoduodenectomy)is the most commonly performed operation for carcinoma of head of pancreas.It includes resection of: distal stomach - duodenumgall bladder - proximal jejunumCBD - regional lymphatics head of pancreasRestoration of gastrointestinal continuity requiresPancreaticojejunostomy choledochojejunostomy &. Gastrojejunostomy